Poor prognosis in AML is indicated by:
1. Inversion 16
2. Translocation 15;17 (t15; 17)
3. Normal cytogenecity
4. Monosomy 7

Correct answer: 4. Monosomy 7

Explanation: Monosomy 7 is associated with a very poor prognosis. Patients with t (8, 21), t (15: 17) and inv (16) have a good prognosis.